A reliable guide for positioning maxillary anterior teeth
is complete dentures is
1. Fovea palatine
2. Incisive papillae
3. Maxillary ridge
4. Rugae

Correct answer: 2. Incisive papillae